Fluconazole is used for the treatment of
1. Pemphigus
2. Herpes simplex
3. Candidiasis
4. Syphilis

Correct answer: 3. Candidiasis